Hormone replacement therapy is not
1. Urogenital atrophy
2. Vasomotor symptoms
3. Prevention of osteoporosis
4. Prevention of CAD

Correct answer: 4. Prevention of CAD

Explanation: Answer- D (Prevention CAD)Hormone replacement therapy increases the risk of MI (coronary artery disease). The increased risk is attributed to progestin component.o HRT restore Ca++ balance, further bone loss is prevented and the excess fracture risk is nullified. o There is a higher incidence of breast cancer.o Risk for endometrial carcinoma is not increased as protective effect of progestin nullify the carcinogenic effect of estrogen.o There is increased risk for gall stone and migraine.o There is a small protective effective of HRT on colorectal cancer.Note :?o Usually in HRT combination of estrogen and progestin is given (combined HRT), except in hysterectimized women where estrogen alone is given.o With estrogen alone there is increased risk of endometrial cancer and decrease risk of coronary artery disease (as estrogen increases HDL and decreases LDL and triglyceride level).o So for HRT with estrogen alone the answer of this question will change. In that case it will be option 'a' i.e., increased risk of coronary artery disease.